All these factors affect the height and thickness of facial and lingual bony plates EXCEPT
1. Alignment of teeth
2. Angulation of root to the bone
3. Occlusal forces
4. Mesiodistal angulation of crest of interdental septum

Correct answer: 4. Mesiodistal angulation of crest of interdental septum